Which of the following structuers is inferior to spheno petrosal Synchondrosis-
1. Abducens nerve
2. Osseous part of auditory tube
3. Cartilaginus part of auditory tube
4. Petro squamous sinus

Correct answer: 3. Cartilaginus part of auditory tube

Explanation: Sphenopetrosal synchondrosis is cartilagenous union b/w lateral half margin of great wing of sphenoid & petrous bone. On the under surface of sphenopetrosal synchondrosis, is a furrow, the sulcus of auditory tube for lodgement of cartilagenous part of auditory tubeQ